Coarctation of aorta is most commonly seen w ith-
1. ASD
2. VSD
3. PDA
4. Bicuspid aortic valve

Correct answer: 4. Bicuspid aortic valve

Explanation: Ans. is 'd' i.e., Bicuspid aortic Valveo Coarctation of the Aorta -Constrictions of the aorta of varying degrees may occur at any point from the transverse arch to the iliac bifurcation, but 98% occur just below^ the origin of the left subclavian artery at the origin of the ductus arteriosus (juxtaductal coarctation).The anomaly occurs twice as often in males as in females.Coarctation of the aorta may be a feature of Turner syndrome and is associated with a bicuspid aortic valve in more than 70% of patients.Mitral valve abnormalities (a supravalvular mitral ring or parachute mitral valve) and subaortic stenosis are potential associated lesions.When this group of left-sided obstructive lesions occurs together, they are referred to as the Shone complex.